Which of the f ollowing factors helped in smallpox eradication?
1. Short incubation period of disease
2. Slow evolution of rashes over body
3. Long-term carrier stages in patients
4. Life-long immunity after disease

Correct answer: 4. Life-long immunity after disease

Explanation: Question repeated